The will is invalid if:-
1. Made by deaf, dumb or blind persons
2. Made during lucid intervals of mental illness
3. Suicide by testator immediately after making the will, in the absence of any mental illness
4. Made by drunk person

Correct answer: 4. Made by drunk person

Explanation: Valid will must fulfill the following conditions:- The testator must be a major, should understand the nature of the will, have knowledge of the property to be disposed and the ability to recognize those who have justifiable claims on his property. It should be executed voluntarily without any undue influence of any person. The testator must sign it in presence of two witnesses. Will is valid under special circumstances: Made by deaf, dumb or blind persons. Made during lucid intervals of mental illness. Suicide by testator immediately after making the will, in the absence of any mental illness. Will is invalid when made by imbecile or drunk persons or under insane delusions, because the testator was incapable of rational views and judgment.